Which of the following is not a GnRH agonist?
1. Leuprolide
2. Nafarelin
3. Ganirelix
4. Busurelin

Correct answer: 3. Ganirelix

Explanation: GnRH Agonist Drugs Leuprolide Nafarelin Goserelin Buserelin -They are all injectables. -They all have flare up reaction as adverse effect when given in continuous form GnRH Antagonist Drugs Cetrorelix Ganirelix Abarelix Degarelix -Given as injectables -They do not increase the sex hormone